Which of the following is the most common pure. malignant germ cell tumor of the ovary?
1. Choriocarcinoma
2. Gonadoblastoma
3. Dysgerminoma
4. Malignant teratoma

Correct answer: 3. Dysgerminoma